Pseudorosettes are seen in –
1. Retinoblastoma
2. Ophthalmic nodosa
3. Phakolytic glaucoma
4. Trachoma

Correct answer: 1. Retinoblastoma

Explanation: Retinoblastoma is characterized by presence offlexner-wintersteiner rosette, Homer-Wright rosette, Pseudorosette and flurettes.